The number of line angles in a permanent maxillary central incisor is
1. Two
2. Four
3. Six
4. Eight

Correct answer: 3. Six